Felon is an infection of:
1. Scalp
2. Face
3. Finger
4. Scrotum

Correct answer: 3. Finger

Explanation: A felon is a closed-space, purulent infection of the fingertip pulp. Ref: Schwartz's principle of surgery 9th edition, chapter 44.